EBV is responsible for all except
1. Nasopharyngeal carcinoma
2. Burkitt's lymphoma
3. Hepatoma
4. Infectious mononucleosis

Correct answer: 3. Hepatoma

Explanation: Epstein Barr Virus has oncogenic potential and may cause Burkitts Lymphoma And Nasopharyngeal Carcinoma
Infectious mononucleosis also known as glandular fever is one of the main clinical manifestation of the EBV which is a self limiting disease seen in children and young adults characterised by fever, sore throat, lymphadenopathy and presence of abnormal lymphocytes in peripheral blood 
Ref : textbook of microbiology, C P Baveja, 5th edition , Pg no:447